Nocardia is differentiated from Actinomyces by:
1. Gram stain
2. ZN stain
3. Nocardia causes mycetoma, Actinomyces do not
4. Nocardia is facultative anaerobe

Correct answer: 2. ZN stain

Explanation: Ans. is 'b' i.e., Ziehl Neelsen stainRef: (Ananthanarayan, 8th/e, p. 393; 9th/e, p. 394; Harrison, 18th/e, p. 1324; Jawetz, 24th/e, p. 182)Nocardia - Partially acid fast, obligate aerobe, habitat is soil and infections occur exogenously.Actinomyces - Nonacid fast, facultative anaerobe, habitat is oral flora so infections occur endogenously.